Which is a clean surgery
1. Hernia surgery
2. Gastric surgery
3. Cholecystectomy
4. Rectal surgery

Correct answer: 1. Hernia surgery

Explanation: .In adults surgical management includes * It includes herniotomy, i.e. excision of hernial sac and herniorrhaphy (strengthening of the posterior wall of inguinal canal either by repair or mesh). Precipitating causes should be treated first, like TURP for BPH, dilatation of stricture urethra, treatment of chronic bronchitis. Patient is advised to avoid smoking. * Hernioplasty is the present choice (ideal) for all inguinal and groin hernias. Mesh is placed either onlay (over conjoint tendon to inguinal ligament) or inlay (in preperitoneal space). Polypropylene mesh is used. Herniotomy is done prior to mesh placement. TEP (Totally extraperitoneal laparoscopic preperitoneal mesh repair) is preferred method. ref:SRB's manual of surgery,ed 3,pg no 686